Alpha particle is similar to
1. Electron
2. Proton
3. Neutron
4. Helium nucleus

Correct answer: 4. Helium nucleus

Explanation: Ans: d (Helium nucleus) Ref: Vasudevan 4th ed/p 464.Alpha particle consists of 2 protons and 2 neutrons bound together into a particle identical to Helium nucleus He2+.Beta particles are high energy, high speed electrons or positrons emitted by radioactive nuclei. Gamma rays are electromagnetic radiation of high frequency.X-rays are low energy photons.Penetration powen-Gamma ray > X ray. Beta particle > alpha particleIonising and damaging power: -Alpha particle> Beta particle > X ray> Gamma ray